Wagner and Grossman theory is related to -
1. Palatal palsy
2. Vocal cord palsy
3. Facial palsy
4. Hypoglossal palsy

Correct answer: 2. Vocal cord palsy

Explanation: Semon's law and Wagner & Grossmann hypothesis are related to RLN paralysis.